Muscle pain, nephropathy with proximal tubule proteinuria caused by which metal poisoning?
1. Arsenic
2. Cadmium
3. Mercury
4. Lead

Correct answer: 2. Cadmium

Explanation: (B) Cadmium[?]CADMIUM POISONINGoThe disorder of reabsorption proteins appears as a tubular proteinuria.oIt is observed in case cadmium poisoning, hypoxia, burns, septicemia.oModerate tubular in sufficiency is characterized by rather albumins & other proteins with weight up to 40 kD is characterized in urine (selective proteinuria).oIn case of rough dystrophic canaliculuc defeats, there are proteins in urine with molecular weight more 40 kD (un selective proteinuria).[?]Renal Toxicity of Cadmium Ions:oThis may cause the tubular damage & proteinuria characterized by an increased urinary excretion of low molecular weight proteins, which come from the glomerular filtrate but are not reabsorbed.oSome evidence suggests that cadmium-induced protenuria may also be the result of glomerular damage.oThe first detectable adverse effect of cadmium on the kidney is an increased excretion of specific proteins in the urine.oEarly kidney damage and proteinuria seen in people, occupationally or environmentally exposed to cadmium.)[?]Acute Tubular Necrosis (ATN)oATN due to poisoning most obviously effects the proximal tubule --Necrosis and occlusions.[?]Children & Heavy Metals:oCadmium - Chronic Toxicity:oRespiratory:-Pneumonitis, destruction of mucous membranes.-Chronic obstructive lung disease (COPD)-Lung fibrosis (restrictive); Lung canceroRenal:-Proximal tubular necrosis, Proteinuria, secretion of beta 2 microglobulin-Proteinuria, kidney stones, glomerular & tubular damageoSkeletal:-Loss of bone density and mineralisation, Itai-Itai disease.-Osteomalacia & Osteoporosis; Bone pain (Itai-Itai)oCardiovascular: hypertensionoCancer: Lungs, kidney, prostate & stomachoReproductive System:-Testicular necrosis, estrogen - like effects, affection of steroid-hormone synthesis.oOther: AnosmiaOther Options[?]Arsenic:-Renal symptoms include - Oliguria, uraemia, urine contains albumen, red cells & casts, pain during micturition.-In Narcotic form, gastrointestinal symptoms are very slight, giddiness, formication, tenderness of muscle, delirum, coma, and death and rarely there complete paralysis of the extremities.-Late sequalae of acute Arsenic exposure leads to hematuria, and acute tubular necrosis.-Chronic Arsenic poisoning shows Raindrop type of pigmentation, Aldrich-mees on finger nails are characteristic.[?]Mercury:-In first phage of poisoning, hot burning pain in the mouth, extending down to stomach and abdomen, followed by nausea, retching and vomiting with blood stain material.-Diarrhea, blood stained stools, tenismus, circulatory collapse occurs soon.-Renal tubule shows necrosis, and produce transient polyuria, albuminuria, cylindruria, uraemia, and acidosis.-Hatter's shakes or glass-blower's shakes, Danbury tremors, concussion mercuralis & Mercurial erethism are seen in chronic Mercury Poisoning.[?]Lead:-Abdominal pain, nausea, vomiting, diarrhea, peripheral circulatory collapse, headache, insomnia, paraesthesias, depression, coma and death.-Lead poisoning shows facial pallor, Siderobalstic anaemia, Punctate basophilia or Basophilic stippling, Eosino- philiea, lead line or Burtonian line and lead palsy & Lead encephalopathy